Weil-Felix reaction positive with OXK antigen in:
1. Trench fever
2. Scrub typhus
3. Endemic typhus
4. Epidemic typhus

Correct answer: 2. Scrub typhus

Explanation: Ans. is. 'b' i. e., Scrub typhus